To test the association between risk factor and disease, which of the following is the weakest study design
1. Case - control study
2. Ecological study
3. Cohort study
4. Cross sectional study

Correct answer: 2. Ecological study

Explanation: Cohort study proceeds forward from cause to effect Case-control study proceeds backward from effect to cause An ecological study is an observational study defined by the level at which data are analyzed, namely at the population or group level, rather than individual level.